Gingival biopsy is used for diagnosis of -
1. Scurvy
2. Sarcoidosis
3. Amyloidosis
4. SLE

Correct answer: 3. Amyloidosis

Explanation: BIOPSY EXAMINATION. Histologic examination of biopsy material is the commonest and confirmatory method for diagnosis in a suspected case of amyloidosis. Biopsy of an obviously affected organ is likely to offer the best results e.g. kidney biopsy in a case of dialysis, sural nerve biopsy in familial polyneuropathy. In systemic amyloidosis, renal biopsy provides the best detection rate, but rectal biopsy also has a good pick up rate. However, gingiva and skin biopsy have a poor result. Currently, fine needle aspiration of abdominal subcutaneous fat followed by Congo red staining and polarising microscopic examination for confirmation has become an acceptable simple and useful technique with excellent result. HARSH MOHAN Textbook of pathology 6th edition pg no 88